Right hepatic vein drains which segment of the liver?
1. I
2. II
3. IV
4. VII

Correct answer: 4. VII

Explanation: Ans. is'd' i.e., VII[Rel Gray's 4fh/e p. 1163-1167; Sabaton 18h/e p. 15841Segmental anatomy of the liver:Based on the distribution of portal vein and hepatic vein, Couinaud divided each physiological (functional) lobe of liver into4 segments each and hence liver is divided into 8 segments.The physiological left lobe is composed of 4 segments designated I to IV and is supplied by left branch of hepatic artery, Ieft branch of portal vein and drained by left hepatic duct and left hepatic vein.The physiological right lobe consists of segment V, VI, VII and VIII and is supplied by right hepatic artery, right branch of portal vein and drained by right hepatic duct and right hepatic vein.